Coarctation of aorta is most commonly associated with -
1. VSD
2. PDA
3. Bicuspid aortic valve
4. ASD

Correct answer: 3. Bicuspid aortic valve